36 week a pregnant female, a case of pre-eclampsia, presented with blurred vision and headache. Her blood pressure is 160/110 mmHg. Next step in management is:
1. Admit & give antihypertensives, MgSO4 and terminate
2. Admit & give antihypertensives, MgSO4 and observation
3. Only admit & watch the patient
4. Give antihypertensives and send home

Correct answer: 1. Admit & give antihypertensives, MgSO4 and terminate

Explanation: Termination of pregnancy is the only cure for pre-eclampsia. Headache, visual disturbances, or epigastric pain is indicative that convulsions may be imminent, and oliguria is another ominous sign. Severe preeclampsia demands anticonvulsant and usually antihypertensive therapy followed by delivery. Ref: Cunningham F.G., Leveno K.J., Bloom S.L., Hauth J.C., Rouse D.J., Spong C.Y. (2010). Chapter 34. Pregnancy Hypertension. In F.G. Cunningham, K.J. Leveno, S.L. Bloom, J.C. Hauth, D.J. Rouse, C.Y. Spong (Eds), Williams Obstetrics, 23e.